Intranuclear viral inclusions are seen in tissue specimens of which of the following?
1. Solar cheilitis
2. Minor aphthous ulcers
3. Geographic tongue
4. Hairy leukoplakia

Correct answer: 4. Hairy leukoplakia

Explanation: Hairy leukoplakia is viral in origin and shows intranuclear inclusions in infected epithelial cells. Hairy leukoplakia is caused by Epstein–Barr virus, a herpes virus. Intranuclear epithelial inclusions are also seen in other herpes virus infections (e.g., herpes simplex virus infections).